Constipation is caused by all of the following drugs EXCEPT :
1. Neostigmine
2. Atropine
3. Morphine
4. Fentanyl

Correct answer: 1. Neostigmine

Explanation: Neostigmine is an inhibitor of acetylcholinesterase and thus acts like a cholinergic drug. Therefore, it can produce diarrhea (not constipation).
Atropine is an anticholinergic drug, thus can cause constipation.
Morphine and fentanyl are opioids. These can also result in constipation.